Normal anion gap is (in mEq/L) ?
1. 5-Mar
2. 12-Oct
3. 18-20
4. 25-30

Correct answer: 2. 12-Oct

Explanation: Ans. is `b' i.e., 10-12